Suxamethonium is
1. Non depolarizing muscle relaxant
2. Direct acting muscle relaxant
3. Depolarising muscle relaxant
4. All of the above

Correct answer: 3. Depolarising muscle relaxant

Explanation: Depolarizing neuromuscular blockers Succinylcholine (SCh., Suxamethonium), Side effects:- Muscle fasciculations and soreness, changes in BP and HR, arrhythmias, histamine release and K+ efflux from muscles causing hyperkalaemia. Uses:- SCh is the most commonly used muscle relaxant for passing tracheal tube. It induces rapid, complete and predictable paralysis with spontaneous recovery in ~5 min. Excellent intubating condition viz. relaxed jaw, vocal cords apart and immobile with no diaphragmatic movements, is obtained within 1-1.5 min. Avoided/contraindication:- It should be avoided in younger children unless absolutely necessary, because risk of hyperkalaemia and cardiac arrhythmia is higher. Risk of regurgita- tion and aspiration of gastric contents is increased by SCh in GERD patients and in the obese, especially if stomach is full. Ref:- kd tripathi; pg num:-347,353